All of the following factors tend to increase the volume of distrubtion of a drug except
1. High plasma protein binding
2. Low ionization at physiological pH values
3. High lipid solubility
4. High tissue binding

Correct answer: 1. High plasma protein binding

Explanation: Ref-katzung 10/e per,35 If a drug is highly bound to plasma proteins ,it is more likely to stay in blood.thus it's Vd will be less . Low ionization favours the distribution of a drug because unionized molecules can cross the membrane of blood vessels and the tissue More lipid soluble drugs can easily cross the membrane and are more likely to be highly distributed